All are true about enterohemorrhagic Escherichia coli Except
1. Sereny test is positive
2. May cause diarrhoea
3. Can cause hemolytic uremic syndrome
4. Verocytotoxin is produced

Correct answer: 1. Sereny test is positive

Explanation: The Sereny test is positive in Enteroinvasive E.coli. Enterohemorrhagic E.coli: produce verocytotoxin. It can give rise to diarrhoeal disease ranging from mild diarrhea to fatal hemorrhagic colitis and hemorrhagic uremic syndrome. Reference: Textbook of Microbiology; Anathanarayan and paniker's; 10th edition; Page no: 285